A woman comes to you with vomiting and vaginal bleed. Further investigation reveals that she has a trophoblastic disease which has also burrowed into the myometrium. Histopathology showed evidence of chorionic villi. What is your diagnosis?
1. Benign complete mole
2. Benign incomplete mole
3. Invasive mole
4. Choriocarcinoma

Correct answer: 3. Invasive mole

Explanation: Benign mole whether complete or partial, doesn't invade the myometrium. Chorionic carcinoma will show no evidence of chorionic villus. A hydatidiform mole invading the myometrium is called an invasive mole. Ref: Shaw's textbook of gynaecology, edition 12, Page - 192.